Hashimoto's thyroiditis-True are A/E
1. Follicular destruction
2. Increase in lymphocytes
3. Oncocytic metaplasia
4. Orphan Annie eye nuclei

Correct answer: 4. Orphan Annie eye nuclei

Explanation: Ans is `d' i.e Orphan Annie eye nuclei Orphan Annie eye nuclei is histological feature seen in Papillary Ca thyroid. "Characteristic histologic features of Hashimoto's thyroiditis include atrophy of thyroid follicles with oncocytic metaplasia (Hurthle cell) of the follicular epithelium and abundant lymphoplasmacytic infiltrate with lymphoid follicles including germinal centres. In addition, there may be varying degrees of fibrosis and foci of squamous metaplasia associated within the atrophic follicles."- Endocrine pathology: differential diagnosis and molecular advances By Ricardo V. Lloyd 1/e p160